Which one of the following acts as the major neurotransmitter in substantia nigra
1. Serotonin
2. Acetylcholine
3. Dopamine
4. Noradrenaline

Correct answer: 3. Dopamine

Explanation: (C) Dopamine > The long dopamine systems are the nigrostriatal system, which projects from the substantia nigra to the striatum and is involved in Motor control.